Granulosa cell tumour secretes :
1. Progesterone
2. Oestrogen
3. HCG
4. Calcitonin

Correct answer: 2. Oestrogen

Explanation: Oestrogen